Polyhydramnios not seen in -
1. Anencephalv
2. Renal agenesis
3. Hydropsfetalis
4. Chorioangioma of placenta

Correct answer: 2. Renal agenesis

Explanation: Ans. is 'b' i.e., Renal agenesis Etiology of Poivhvdrammoso Fetal anomaliesy Anencephalyy Open spina bifiday Esophageal or duodenal atresiay Facial clefts and neck massesy Hydropsfetalisy Aneuploidyo Placentay Chorioangioma of placentao Multiple pregnancyy Maternal diabetes: cardiac or renal disease.